dartos muscle is supplied by ?
1. genital branch of genito femoral nerve
2. sympathetic fibres from sacral plexus
3. pudendal nerve
4. all the above

Correct answer: 1. genital branch of genito femoral nerve

Explanation: dartos muscle is supplied by sympathetic fibres of genital branch of genito femoral nerve ref : bdchaurasia